Chromosome defective in cystic fibrosis is-
1. Chromosome 5
2. Chromosome X
3. Chromosome 7
4. Chromosome 1

Correct answer: 3. Chromosome 7

Explanation: Cystic fibrosis or fibrocystic disease is a hereditary disorder characterized by viscid mucous secretions in all the exocrine glands of the body (mucoviscidosis) and associated with increased concentrations of electrolytes in the eccrine glands. The terms 'cystic fibrosis' and 'fibrocystic disease' is preferable over 'mucoviscidosis' in view of the main pathologic change of fibrosis produced as a result of obstruction of the passages by viscid mucous secretions.The disease is transmitted as an autosomal recessive trait with apparent clinical features in homozygotes only. The defect is a genetic mutation in the CFTR gene, an acronym for coding protein for cystic fibrosis transmembrane conductance regulator located on chromosome 7. It is quite common in the whites (1 per 2000 live births). The clinical manifestations may appear at birth or later in adolescence and pertain to multiple organs and systems such as pancreatic insufficiency, intestinal obstruction, steatorrhoea, malnutrition, hepatic cirrhosis, and respiratory complications. HARSH MOHAN Textbook of pathology 6th edition pg no 645